Beck's triad of cardiac tamponade includes all, except?
1. Hypotension
2. Increased JVP
3. Muffled Heart sounds
4. Tachycardia

Correct answer: 4. Tachycardia

Explanation: Beck's triad: Hypotension Soft or absent heart sounds Jugular venous distention with a prominent x descent but an absent y descent. There are both limitation of ventricular filling and reduction of cardiac output. There may be reduction in amplitude of the QRS complexes, and electrical alternans of the P, QRS, or T waves should raise the suspicion of cardiac tamponade.